The fixative used in histopathology ?
1. 10% buffered neutral formalin
2. Bouins fixative
3. Glutaraldehyde
4. Ethyl alcohol

Correct answer: 1. 10% buffered neutral formalin

Explanation: Ans. is 'a' 10% buffered neutral formalin